Irresistible sexual desire in a male is known as:
1. Nymphomania
2. Tribadism
3. Satyriasis
4. Sadism

Correct answer: 3. Satyriasis

Explanation: Satyriasis is excessive sexual desire in male where he enjoys having multiple sexual partners or desires excessive sexual activity. The female-specific term for the same condition is Nymphomania. A fetish is an abnormal stimulus or object of sexual desire. Fetishism means the use of such objects of sexual gratification leading to orgasm. For exmaple underclothing, brassiere, petticoat, stocking, shoes, etc. Frotteurism : Sexual satisfaction is obtained by rubbing against persons in crowd. If they attempt intercourse, they have a premature ejaculation or they are impotent. Ref ; Narayana reddy 33rd ed.